Following is feature of Fusch's hetero chromic iridocyclitis -
1. Heterochromia of iris
2. Keratic precipitates
3. Posterior subcapsular cataract
4. All the above

Correct answer: 4. All the above

Explanation: (Ref: Atals of clinical ophthalmology 4th/e p.295; Khurana 7th/e p.174 & 4th/e p.160) Fuch's heterochromic iridocyclitis (Fush's uveitis syndrome) It is a form of anterior and intermediate uveitis. The condition is usually unilateral and chronic in nature and is characterized by a chronic non-ganulomatous uveitis and eventually results in iris heterochromia.